Proliferative glomerular deposits in kidney are found in
1. Amyloidosis
2. IgA nephropathy
3. Diabetes mellitus
4. Membranous glomerulonephritis

Correct answer: 2. IgA nephropathy